Beri-Beri is caused by -
1. Thiamine
2. Folic acid
3. Riboflavin
4. Niacin

Correct answer: 1. Thiamine

Explanation: - beri beri is due to the deficiency of thiamine. - it has 3 main forms. Dry form characterised by nerve involvement. Wet firm characterised by heart involvement and infantile beri beri. Reference : Park's textbook of preventive and social medicine, 23rd edition, pg no:618